Recessive dystrophic epidermolysis Bullosa occurs due to alteration in:
1. Type 4 collagen
2. Type 6 collagen
3. Type 7 collagen
4. Type 8 collagen

Correct answer: 3. Type 7 collagen

Explanation: "Nikolsky's sign" is positive in: 

Pemphigus
Familial benign chronic pemphigus (hailey-hailey disease)
Recessive dystrophic epidermolvsis bullosa [Epidermolysis bullosa occurs due to alteration in structure of type VII  collagen.